A person with glaucoma should not receive:
1. Sedatives
2. Vasoconstrictors
3. Antisialogogues
4. Local anaesthetic

Correct answer: 3. Antisialogogues